Operation theatres are sterilized by?
1. Carbolic acid spraying
2. Washing with soap and water
3. Formaldehyde
4. ETO gas

Correct answer: 3. Formaldehyde

Explanation: FORMALDEHYDE GAS is used for sterilizing instruments and heat sensitive catheters and for fumigating wards, sick rooms, and laboratories REF:Ananthanarayan and Panicker's Textbook ofMicrobiology 8thEdition pg no:36